A lady with a long-standing thyroid nodule is planned for a subtotal thyroidectomy. Before the surgery, the surgeon must check/ do -
1. Serum Calcium levels
2. Serum PTH assay
3. Indirect Laryngoscopy
4. Iodine 131 scan

Correct answer: 3. Indirect Laryngoscopy

Explanation: Ans. is 'c' i.e., Indirect Laryngoscopy o Nerve Damage to recurrent/superior laryngeal nerve is a known complication of thyroidectomy. Hence it is important to document the state of the vocal cords before surgery to prevent litigation liability